Gene responsible for renal cell carcinoma is located on?
1. Chromosome 3 p
2. Chromosome 6
3. Chromosome 9
4. Chromosome 22

Correct answer: 1. Chromosome 3 p

Explanation: Von Hippel-Lindau(VHL) syndrome: Half to two-thirds of individuals with VHL develop renal cysts and bilateral, often multiple, renal cell carcinomas. Current studies implicate the VHL gene in the development of both familial and sporadic clear cell carcinoma.clear cell carcinoma accounting for 70-80% of renal cell cancers. In 98% of these tumors, Whether familial, sporadic or associated with VHL syndrome, there is loss of sequences on the short arm of chromosome 3. The deleted region harbors the VHL gene(3p25.3). A second nondeleted allele of the VHL gene shows somatic mutations or hypermethylation induced inactivation in up to 80% of clear cell cancer indicating that the VHL gene act as a tumor suppressor gene in both sporadic and familial cancers. From Pathologic basis of disease Robbins, South Asian edition(9) pg no:953